Syndrome x not found in
1. DM II
2. Dyslipidemia
3. High triglycerides
4. Weight loss

Correct answer: 4. Weight loss

Explanation: (D) (Weight loss) (1992-95-H 18th)* Syndrome X is much more common in patients who are obese.Metabolic' syndrome (syndrome X) or Insulin resistance syndrome (805- Davidson 22nd)* DM type II* Hypertension* Dyslipidaemia * Over weight/obesity* Central adiposity is a key feature of the syndrome* Sedentary life style* Aging 50 years* Coronary heart disease* Lipodystrophy* Glucose intoleranceOther ossociated conditions1. Non alcoholic fatty liver disease2. Hyperuricemia3. Polycystic ovary syndrome4. Obstructive sleep apnea